Smokeless gun powder is composed of -
1. KMnO4
2. HCN
3. Nitrocellulose
4. Sulphur

Correct answer: 3. Nitrocellulose

Explanation: Ans. is 'c' i.e., Nitrocellulose o Smoke producing powder Black powder (black gun pow der), Pyrodex.o Smokeless powderBlack powder plus nitrocellulose'nitrocellulose + nitroglycerine,'nitroglycerine + nitrocellulose + nitroguanidine.o Semismokeless powder 80% black powder plus 20% smokeless powder.